Shortest incubation period is seen in-
1. Influenza
2. Hepatitis B
3. Hepatitis A
4. Rubella

Correct answer: 1. Influenza

Explanation: Mumps → 16 - 18 days
Influenza → 2 - 3 days
Hepatitis A → 15 - 90 days
Hepatitis B →  6 wk to 6 months